A person who had undergone gastrojejunostomy suddenly develops severe diarrhoea. Which should be suspected -
1. Gastric carcinoma
2. Tb abdomen
3. Gastrojejunocolic fistula
4. Gastric amoebiasis

Correct answer: 3. Gastrojejunocolic fistula